A child with prolonged apTT underwent laprotomy and still did not develop any bleeding complications. Which of the following clotting factors is most likely to be deficient?
1. Factor VII
2. Factor X
3. Factor XII
4. Factor XIII

Correct answer: 3. Factor XII

Explanation: Factor XII deficiency :

Associated with increased aPTT
Usually asymptomatic
Results in thrombosis rather than bleeding.